Stalactite growth in ghee broth is due to -
1. H. influenza
2. C. diphtheria
3. Y pestis
4. T. pallidium

Correct answer: 3. Y pestis